All are causes of hypercalcemia, except:
1. Lithium therapy
2. Chronic renal failure
3. Multiple myeloma
4. Vitamin A intoxication

Correct answer: 2. Chronic renal failure

Explanation: Ans. B. Chronic renal failureCauses of Hypercalcemiaa. Hyperparathyroidism, Hyperthyroid, Pheochromocytoma, MEN -1, Addisonb. Ca of breast, Squamous cell Lung cancer, Renal cell carcinoma, MM, lymphomac. Drugs: Lithium, Thiazided. Vit. D intoxication, Vit. A intoxication, Aluminium intoxicatione. Milk alkali syndromef. Prolong Immobilizationg. Sarcoidosish. Familial Hypocalciuric hypercalcemia (FHH)